Findings in hyperparathyroidism include all of the following, except
1. Renal colic
2. Bone pain
3. Mental confusion
4. Dyspnea

Correct answer: 4. Dyspnea